Flushing is common in patient taking which of the following oral hypoglycemic drug with alcohol-
1. Chlorpropamide
2. Phenformin
3. Glibenclamide
4. Tolazamide

Correct answer: 1. Chlorpropamide

Explanation: Ans. is 'a' i.e., Chlorpropamide o Chlorpropamide causes disulfiram like reaction with alcohol.